In HIV window period indicates:
1. Time period between infection and onset of first symptoms
2. Time period between infection and detection of antibodies against HIV
3. Time period between infection and minimum multiplication of the organism
4. Time period between infection and maximum multiplication of the organism

Correct answer: 2. Time period between infection and detection of antibodies against HIV

Explanation: Ans. is 'b' i.e., Time period between infection and detection of antibodies against HIV(Ref: Ananthanarayan, 9th/e, p. 579 and 8th/e, p. 578)* It takes 2 - 8 weeks to months for antibodies to appear after infection. This period, from infection to appearance of antibodies is called as window period.* During this period patients is seronegative, i.e., serological tests (ELISA and Western blot) are negative.* The individual may be highly infectious during this period.